Which of the following blood group is not likely to be present in a child, whose father has a blood group B and Mother has AB?
1. O
2. A
3. B
4. AB

Correct answer: 1. O

Explanation: Two types of antigens are present on RBC, they are A and B. If both A and B antigens are present blood group is AB, if only A antigen is present blood group is A, if only B antigen is present blood group is B , if both antigens are absent blood group is O. Genotype of blood groups : IAIB Blood group AB IAIA or IA i Blood group A IBIB or IBi Blood group B I i Blood group O I indicates dominant allele, i indicate recessive allele. If father has blood group B, genotype can be either IBIB or IBi. Mother has AB blood group, so her genotype will be IAIB. So, their child can have the following genotypes: IAIB, IBIB, IAi, IBi i.e either blood group AB, B or A. The child cannot have O blood group. Ref:Biology: A Search For Order In Complexity By Leslie MacKenzie, Page 76 ; Medical Laboratory Science : Theory And Practice By Ochei Et Al, Page 352